Spermicidal jelly acts through _______
1. Acrosomal enzyme
2. Cervical enzyme alteration
3. Glucose uptake inhibition by sperms
4. Disruption of cell membrane

Correct answer: 4. Disruption of cell membrane

Explanation: Spermicidal gel acts by disruption of cell membrane. Spermicidal Agents: The spermicidal agents kill the sperms before entering the cervical canal by disruption of cell membrane. These chemical contraceptive agents contain surfactant, such as nonoxynol-9, octoxynol and menfegol and enzyme-inhibiting agents These are available as foam tablets, soluble pessaries, creams, jellies or as films along with other contraceptives such as diaphragm, occclusive cervical cap and condom. Used alone, failure rate is high, approximately 30 per 100 woman years. When used in conjunction with a mechanical barrier, they give a reliable contraceptive effect. The spermicidal agent remains effective for 1-2 hrs after application. Adverse reactions: By causing irritation and abrasions in chronic use, they can cause vaginal ulceration. Increase the risk of HIV spread rather than prevent it. Therefore, the spermicidal agents should not be recommended to HIV couples. A new spermicidal cream, Tenofovir, prevents viral attachment to the vaginal mucosa and is non-irritant and is underdevelopment. The use of condoms with spermicidal agents and postcoital agents as back-up technique is effective in avoiding pregnancy. Ref: Shaw's textbook of Gynaecology 17th edition pgno: 255